Most common site of thyroglossal cyst is?
1. Subhyoid
2. Suprahyoid
3. Tongue
4. Subomohyoid

Correct answer: 1. Subhyoid

Explanation: ANSWER: (A) SubhyoidREF: Schwartz s Principles of Surgery 9th edition Chapter 39. Pediatric Surgery' Usually the thyroglossal cyst is encountered in the midline at or below the level of the hyoid bone and moves up and down with swallowing or with protrusion of the tongue '